Congenital long QT syndrome can lead to -
1. Complete heart block
2. atrial fibrillation
3. Acute myocardial infarction.
4. Recurrent ventricular tachycardia.

Correct answer: 4. Recurrent ventricular tachycardia.

Explanation: Long QT syndrome (LQTS) is a rare congenital and inherited or acquired heart condition in which delayed repolarisation of the heart following a heartbeat increases the risk of episodes of torsades de pointes (TdP, a form of irregular heartbeat that originates from the ventricles ). These episodes may lead to fainting and sudden death due to ventricular fibrillations . Episodes may be provoked by various stimuli Ref Harrison 20th edition pg 1445